Which of the following nerve fibres serve as preganglionic autonomic fibres
1. Aα
2. Aγ
3. B
4. C

Correct answer: 3. B